Milk maid grip is seen in
1. Chorea
2. Myoclonus
3. Athetosis
4. Cerebral palsy

Correct answer: 1. Chorea

Explanation: Milk maid grip is seen in chorea.